ECV is absolutely contraindicated in all except :
1. Previous LICS scar
2. Severe pre-eclampsia
3. Placenta previa
4. Septate uterus

Correct answer: 1. Previous LICS scar

Explanation: Absolute contraindication of ECV : Placenta previa Multiple pregnancies H/o antepartum hemorrhage IUGR Severe pre-eclampsia and hypertension Rupture of membranes Known uterine malformation Ref: Williams Obs 24e pg 570.